Method of autopsy in which various systems organs are removed en masse ?
1. Rokitansky
2. Virchow
3. Gasses
4. Lettulle

Correct answer: 4. Lettulle

Explanation: Ans. is 'd' i.e., Lettulle Methods of removal of organs Virchow's technique - organs are removed one by one. Cranial cavity is exposed first, followed by thoracic, cervical & abdominal organs. Rokitansky's technique - It involves in situ dissection in part, combined with enblock removal. Lettulle's technique - Cervical, thoracic, abdominal & pelvic organs are removed en masse & dissected as organ block.